A 4 years old child suffered from a fall on outstretched hand.  X rays revealed a fracture with the fracture line at the physes with a small metaphyseal fragment.  There was no epiphyseal fracture.  What type of injury by Salter harris Classification is this?
1. I
2. II
3. III
4. IV

Correct answer: 2. II

Explanation: (Refer: Mohindra’s Fundamentals of Orthopedics, 2nd edition, pg no. 510)

Type II: the fracture involves the physis and a triangle of metaphyseal bone (Thurston Holland sign).  This is the commonest type of epiphyseal injury accounting for 73 percent of cases over 10 years of age.